A 2 year old male baby presents with cough, high grade fever, fast breathing since 7 days. On examination respiratory rate is 50/min and visible chest indrawing present. Next line of management is
1. Home management with Paracetamol
2. Home management with Amoxycillin
3. Hospital management with antibiotics
4. Reassurance

Correct answer: 2. Home management with Amoxycillin

Explanation: Diagnosis can be made as Pneumonia. Pneumonia without any danger sign can be treated at home with Oral antibiotic. In case of presence of any danger signs, the patient has to admitted to the hospital or to be referred to higher center.